Erythema nodosum is not seen in:
1. Primary TB
2. Sulfonamides
3. Giant cell arteritis
4. Streptococcal Infection

Correct answer: 3. Giant cell arteritis

Explanation: C i.e. Giant cell arteritis